Which one is excitatory -
1. Putamen
2. Caudate nucleus
3. Striatum
4. Subthalamic nucleus

Correct answer: 4. Subthalamic nucleus

Explanation: Ans. is 'd' i.e., Subthalamic nucleus o Basal ganglia are richly connected with one another. These connections include : -1) Dopaminergic nigrostriatal projection from the substantia nigra parscompacta (SNPQ to the striatum (caudate nucleus and putamen) and corresponding GABAergic projection from striatum to substantia nigra pars reticulata (SISPR}. Dopamine is the major neurotransmitter in Substantia nigra.The striatum has GABAergic projections (inhibitory) to both globus pallidus inner segment (IS) as well as globus pallidus external segment (ES).Globus pallidus ES has GABAergic projections to Subthalamic nucleus and to Globus pallidus IS.Subthalamic nucleus has glutamate-ergic (excitatory) projections on both globus pallidus IS as well as globus pallidus ES.Cholinergic interneurons are there within the striatum.